Hutchinson’s rule is related to
1. Herpes simplex keratitis
2. Mycotic keratitis
3. Herpes zoster ophthalmicus
4. None

Correct answer: 3. Herpes zoster ophthalmicus

Explanation: Hutchinson's rule is related to herpes zoster ophthalmicus which is an acute infection of Gasserian ganglion of the fifth cranial nerve by the varicella-zoster virus. 
Occurs commonly in immunocompromised individuals. Hutchinson's rule implies that ocular involvement is frequent if the side or tip of the nose presents vesicles is useful but not infallibleReference: Comprehensive Ophthalmology,